Prolonged use of one of the following anticonvulsant can produce weight loss -
1. Gabapentin
2. Oxcarbazepine
3. Topiramate
4. Valproic acid

Correct answer: 3. Topiramate

Explanation: Ans. is 'c' i.e., Topiramate o Use of topiramate is limited by its unwanted side effects particularly weight loss, sedation and naming difficulties. Note - Other drug causing weight loss is Felbamate.